Bulbourethral glands open into which part of the urethra
1. Membranous
2. Spongy
3. Prostatic
4. Intramural

Correct answer: 2. Spongy

Explanation: Bulbourethral glands are located posterior and lateral to the membranous portion of the urethra at the base of the penis, between the two layers of the fascia of the urogenital diaphragm, in the deep perineal pouch. They are enclosed by transverse fibers of the sphincter urethrae membranaceae muscle. Ref - BDC 6e vol2 pg376